Bochdalek hernia occurs through
1. Diaphragm
2. Lumbar triangle
3. Femoral region
4. obturator canal

Correct answer: 1. Diaphragm

Explanation: A hernia through foramen Bochdalek (through the pleuroperitoneal canal) (95% left-sided, only 5% right sided) * It is a commonest congenital diaphragmatic hernia. * This is a developmental defective condition, due to a failure of fusion of pleuroperitoneal canal leaving a direct communication between pleura and peritoneum on left side. This allows herniation of contents of the abdomen into the left side thorax. * Common content is a colon. Occasionally small bowel, stomach is the contents. * 80% cases do not have a hernial sac. Only 20% cases have got sac. Ref: SRB's manual of surgery,3 rd ed, pg no 1078